Circumflex scapular artery is a branch of
1. Thyrocervical trunk
2. Subscapular artery
3. Subclavian artery
4. Aorta

Correct answer: 2. Subscapular artery

Explanation: Subscapular artery is the largest branch of the axillary artery, arising from its third part. It runs along the lower border of the subscapularis to terminate near the inferior angle of the scapula. It supplies the latissimus dorsi and the serratus anterior. The Subscapular artery gives off a large branch, the circumflex scapular artery, which is larger than the continuation of the main artery. Ref : B D Chaurasia's Human Anatomy, seventh edition , volume 1, pg. no., 53.